Flavoproteins are component of which complex of respiratory chain:
1. Complex I
2. Complex II
3. Both of the above
4. None of the above

Correct answer: 3. Both of the above

Explanation: Flavoproteins are important components of Complexes I and II. The oxidized flavin nucleotide (FMN or FAD) can be reduced in reactions involving the transfer of two electrons (to form FMNH2 or FADH2), but they can also accept one electron to form the semiquinone. Ref: Harper 28th edition, chapter 13.